Mesiolingual grooves may be found on which of the following permanent teeth?
1. Mandibular second molars
2. Mandibular first premolars
3. Maxillary first molars
4. Maxillary canines

Correct answer: 2. Mandibular first premolars